Breech presentation with footling. Management is:
1. Vaginal delivery
2. Ceasarean section
3. Forceps delivery
4. Internal podalic version

Correct answer: 2. Ceasarean section

Explanation: Ans. (b) Ceasarean SectionRef.: D.C. Dutta 8th ed. / 441-42, Williams 22/e / 571* Because Breech presentation with footling has very high incidence of cord prolapse, delivery by caesarean section is recommended in these patients.Indication of C.S in breech are:* Big baby (Wt> 3.5 kg.)* Hyperextension of head (stargazing fetus)* Footling presentation (risk of cord prolapse)* Suspected pelvic contraction* Severe IUGR